A patient has Hb 6 gm% folic acid 82g/ml, vitamin B12 60 pg/ml, serum iron 180g/dl, and MCV-104.The diagnosis is -
1. Iron deficiency anaemia
2. Vitamin B12 deficiency
3. Folic acid deficiency
4. Pyridoxine deficiency

Correct answer: 2. Vitamin B12 deficiency